All are alkylating agents, except :
1. 5–Fluorouracil
2. Melphalan
3. Cyclophosphamide
4. Chlorambucil

Correct answer: 1. 5–Fluorouracil

Explanation: 5-Fluorouracil is an antimetabolite whereas melphalan, cyclophosphamide and chlorambucil are alkylating agents.